Serial interval is -
1. Interval between primary and secondary case
2. Interval between first case and last case
3. Interval between infection to maximum infectivis
4. Interval between incubation period and gestational period

Correct answer: 1. Interval between primary and secondary case

Explanation: Ans. is 'a' i.e., Interval between primary and secondary case Serial intervalo The gap time between onset of primary case and secondary case.o By collecting information about a whole series of such onset, we get a distribution of secondary cases from which we can guess the incubation period.